True-regarding DNA-replication are all except
1. Occurs in the M-phase of the cell cycle
2. Sister Chromatids are formed
3. Follow base pair rule
4. Semi conservative

Correct answer: 1. Occurs in the M-phase of the cell cycle

Explanation: *Occurs during S phase of cell cycle, In the S phase (S for synthesis) chromosomal DNA is replicates *It occurs at many chromosomal origins, is bi-directional and semi-conservative *Follows the base pair rule: The sequence of the daughter strand is dictated by the parental strand; an A in the parental strand causes a T to be placed in the daughter strand, a parental G directs incorporation of a daughter C, and so on Ref : Biochemistry by U. Satyanarayana 3rd edition Pgno : 527